Which of the following has least ability to regenerate?
1. Liver
2. Bone
3. Collagen
4. Striated muscle

Correct answer: 4. Striated muscle